All are features of Plummer-Vinson syndrome Except
1. Oesophageal web
2. Iron deficiency
3. Achalasia cardia
4. Dysphagia

Correct answer: 3. Achalasia cardia

Explanation: Dysphagia is said to occur because of the presence of post-cricoid web that is associated with iron deficiency anaemia, glossitis and koilonychia Bailey and Love's short practice of surgery,26 th ed.